Most commonly used vein for intravenous injection is:
1. Cephalic vein
2. Basilic vein
3. Median cubital vein
4. Median vein of the forearm

Correct answer: 3. Median cubital vein

Explanation: Ans. C. Median cubital veinThe median cubital vein (or median basilic vein) is a superficial vein of the upper limb. It is very clinically relevant as it is routinely used for venipuncture (taking blood) and as a site for an intravenous cannula. It connects the basilic and cephalic vein and becomes prominent when pressure is applied. It lies in the cubital fossa superficial to the bicipital aponeurosis.